Fracture of the spine of sphenoid results in
1. Increased salivation
2. Affects secretion of Submandibular, sublingual and Parotid glands
3. Loss of general sensation on Anterior 2/3rd of tongue
4. Affects only Parotid gland secretions

Correct answer: 2. Affects secretion of Submandibular, sublingual and Parotid glands

Explanation: Injury to the spine of sphenoid: Chorda tympani nerve is related on the medial side of the spine of the sphenoid, while auriculotemporal nerve is related to the lateral side. Chorda tympani gives secretomotor fibers to submandibular and sublingual salivary glands, whereas auriculotemporal gives secretomotor fibers to the parotid gland. So injury to the spine of sphenoid may injure both these nerves affecting the secretion of all three salivary glands.Ref: BD Chaurasia; Volume 3; 6th edition; Page no 298